Commonest cause of ureteric injury during surgical operation is -
1. Abdomino-perineal resection
2. Hysterectomy
3. Prostectomy
4. Colectomy

Correct answer: 2. Hysterectomy